All of the following are complications of epidural anesthesia EXCEPT:
1. Headache
2. Hypotension
3. DIC
4. Epidural hematoma

Correct answer: 3. DIC

Explanation: Minor adverse effects and complications of epidural nerve block include pain at the injection site, -headache -hypotension -unintentional dural puncture -vasovagal syncope. Major complications include -damage to neural structures -epidural hematoma, and epidural abscess. DIC is not associated with epidural anaesthesia.